Which of the following is not a clinical feature of Endophthalmitis?
1. Vitritis
2. Corneal edema
3. Hypopyon
4. Cranial nerve palsies

Correct answer: 4. Cranial nerve palsies

Explanation: (Ref: Khurana 6th/e p.176 & 4th/e p.150; Yanoff 3rd/e p.815; Ocular pathology by Yanoff 6th/e p.57) Clinical features Acute bacterial endophthalmitis occurs within 7 days of operation and is characterized by severe ocular pain, redness, lacrimation, photophobia and marked loss of vision.